The collagen triple helix structure is not found in:
1. Cytoplasm
2. Golgi apparatus
3. Lumen of endoplasmic reticulum
4. Intracellular vescicles

Correct answer: 1. Cytoplasm

Explanation: A i.e. Cytoplasm